Best level of prevention for Breast cancer
1. Specific protection
2. Early diagnosis and treatment
3. Disability limitation
4. Rehabilitation

Correct answer: 2. Early diagnosis and treatment

Explanation: Ans. (b) Early diagnosis and treatmentRef. Park 25/e p416]Screening of Breast Cancer* Tests: Mammography, USG, Thermography, Breast self-examination (BSE), Palpation by Physician/Surgeon, MRI* Level of prevention: Secondary (Early diagnosis)